Superficial perineal space contains
1. Sphincter urethrae muscle
2. Ischiocavernosus muscle
3. Deep transverse perinei muscle
4. Bulbourethral gland

Correct answer: 2. Ischiocavernosus muscle

Explanation: Contents: MuscleIschiocavernosus muscleBulbospongiosus muscleSuperficial transverse perineal muscleOtherCrura of penis (males) / crura of clitoris (females)Bulb of penis (males) / vestibular bulb (females)Greater vestibular gland (female)